Lactose content of breast milk per 100 ml is
1. 3.5 gm
2. 4.5 gm
3. 6 gm
4. 7 gm

Correct answer: 4. 7 gm

Explanation: Lactose content of breast milk per 100 ml is 7.0 g. Ref: Table 5.4, Page 97; Ghai essential pediatrics; 6th edition